Nasopharyngeal carcinoma causes deafness by -a) Blocking the Eustachian tubeb) Serous otitis mediac) Temporal bone metastasisd) Radiation
1. ab
2. a
3. ad
4. bc

Correct answer: 1. ab

Explanation: Nasopharyngeal carcinoma can cause obstruction of eustachian tube which results in serous otitis media and conductive deafness.